Colostrums has in compared to normal milk -
1. Decreased K
2. Decreased Na
3. Increased proteins
4. Increased calories

Correct answer: 3. Increased proteins

Explanation: Colostrum contains a high concentration of proteins as compared to normal milk.REF.PARK'S TEXTBOOK OF PREVENTIVE AND SOCIAL MEDICINE.Editon-21.Page no.-491